A 45-year-old woman is being examined as a candidate for cosmetic breast surgery. The surgeon notes that both of her breasts sag considerably. Which structure has most likely become stretched to result in this condition?
1. Scarpa's fascia
2. Pectoralis major muscle
3. Pectoralis minor muscle
4. Suspensory (Cooper's) ligaments

Correct answer: 4. Suspensory (Cooper's) ligaments

Explanation: The suspensory ligaments of the breast, also known as Cooper's ligaments, are fibrous bands that run from the dermis of the skin to the deep layer of superficial fascia and are primary supports for the breasts against gravity. Ptosis of the breast is usually due to the stretching of these ligaments and can be repaired with plastic surgery. Scarpa's fascia is the deep membranous layer of superficial fascia of the anterior abdominal wall. The pectoralis major and pectoralis minor are muscles that move the upper limb and lie deep to the breast but do not provide any direct support structure to the breast. The serratus anterior muscle is involved in the movements of the scapula.